Membranous GN with reduced complement level is seen in?
1. Hepatitis B
2. SLE
3. Malaria
4. Syphilis

Correct answer: 2. SLE

Explanation: MGN is subtype of nephrotic associated with solid organ tumours MGN is related to the infections mentioned in answer All of these lead to subepithelial deposits with uniform thickening of basement membrane but does not have low complement level. Lupus nephritis / SLE however is the only one that leads to low complement and similar Histopath changes of MGN.